Carrier is defined as:-
1. Person, animal or object from which infectious agent passes to host
2. Person, animal or object in which an infectious agent lives and multiplies
3. Infected person harboring infectious agent without clinical features and acts as source of infection
4. A person in which infectious agent lie dormant

Correct answer: 3. Infected person harboring infectious agent without clinical features and acts as source of infection

Explanation: Carrier is Infected person harboring infectious agent without clinical features & acts as source of infection. Carriers are of 6 types: Content carrier - Carrier gets infection from a case. Paradoxical carrier- Carrier gets infection from another carrier. Chronic carrier - Carrier for duration of more than 6 months. Incubatory carrier - can transmit the agent during the incubation period before clinical illness begins. Convalescent carrier - can transmit the agent during recovery phase. Pseudo carrier - asymptomatic carrier with avirulent organisms. ( no need to worry about it)